Calcium blocking agents of use in the treatment of hypertension include -
1. Prazosin
2. Lidoflazine
3. Captopril
4. Nifedipine

Correct answer: 4. Nifedipine